Alveoloplasty is performed following multiple extraction for
1. Proper wound closure
2. Undercut removal
3. Both
4. None

Correct answer: 3. Both

Explanation: Alveoloplasty is performed following multiple extractions for proper wound closure and for removal of undercut areas.
Alveolectomy refers to surgical removal or trimming of alveolar process. The main aim of alveolectomy is to prepare a good bed for denture.